Which of the following laryngeal muscle is supplied by external laryngeal nerve?
1. Cricothyroid
2. Thyroarytenoid
3. Cricoarytenoid
4. Vocalis

Correct answer: 1. Cricothyroid

Explanation: External laryngeal nerve is a branch of superior laryngeal nerve and supplies cricothyroid muscle. Superior laryngeal nerve arise from inferior ganglion of the vagus descends behind the internal carotid artery and at the level of greater cornua of hyoid bone, divides into external and internal branches. The internal branch pierces the thyrohyoid membrane and supplies sensory innervation to the larynx and hypopharynx.